Commonest complication following haemorrhoidectomy is -
1. Hemorrhage
2. Infection
3. Facal impaction
4. Urinary Retention

Correct answer: 4. Urinary Retention